Neurotransmitter present in nigro-striatal pathway is:
1. Acetylcholine
2. Dopamine
3. Epinephrine
4. GABA

Correct answer: 2. Dopamine

Explanation: Ans: B i.e. Dopamine Neurotransmitters Cholinergic i.e.acetylcholine secreting neurons, are present in the pathway that emerges from cerebral cortex to end in neostriatum Dopaminergic neurons,are present in the nigro-striatal pathway GABAergic fibres are present in pathway that connect cerebral cortex to substantia nigra